Which of the following cranial nerve travels through the jugular foramen in the base of the skull?
1. 3rd branch of trigeminal nerve
2. Abducens nerve
3. Facial nerve
4. Glossopharyngeal nerve

Correct answer: 4. Glossopharyngeal nerve

Explanation: Glossopharyngeal nerve travel through the middle compartment of the jugular foramen. Jugular foramen is formed by the petrous portion of the temporal and occipital bones. It is divided into 3 compartments. The intermediate compartment contains the glossopharyngeal, vagus, and spinal accessory nerves. The anterior compartment contains the inferior petrosal sinus and the posterior compartment contains the sigmoid sinus and meningeal branches from the occipital and ascending pharyngeal arteries.